Which of following tests in used to detect semen?
1. Phenolphthalein test
2. Reine's test
3. Barberio's test
4. Paraffin test

Correct answer: 3. Barberio's test

Explanation: Tests to detect seminal fluid are Florence test, Barberio's test, acid phosphatase test, creatine phosphokinase test, ammonium molybdate test, and glycoprotein P30 test. Ref: Park's Textbook of Preventive and Social Medicine By K. Park, 6th Edition, Pages 7.15, 7.16, 7.26; Concise Textbook of Forensic Medicine and Toxicology By Sharma, 2007, Page 35.